In which of the following the 3 point relationship is maintained:
1. medial condyle humerus
2. lateral condyle humerus
3. olecranon
4. Supracondylar

Correct answer: 4. Supracondylar

Explanation: Ans: d (Supracondyar)The 3 point relationship is maintained in supracondylar fracture humerus.The 3 bony points are:Medial epicondyleLateral epicondyleTip of olecranonHead of radius is sometimes considered as the fourth partNormally in an elbow flexed to 90deg. these three bony points form a near isoseles triangle. But in an extended elbow they lie in a straight horizontal line.In supra condylar fracture this relationship is maintained because fracture line is above the condyles.